Which of the following rib is known as floating rib?
1. 8
2. 9
3. 10
4. 11

Correct answer: 4. 11

Explanation: Ans. D 11Ref: Netter's Clinical Anatomy, 3rd ed. pg. 89* The 11th and 12th ribs are floating ribs as they are free at their ends.* The 8th, 9th and 10th ribs are false ribs as they are joined to form cartilage of rib immediately above.* The first 7 pair of ribs are true ribs.